Which nucleus is present deep to facial colliculus?
1. Facial nucleus
2. Trigeminal nucleus
3. Abducent nucleus
4. Cochlear nucleus

Correct answer: 3. Abducent nucleus

Explanation: Ais. C. Abducent nucleusThe facial colliculus is an elevated area located on the pontine tegmentum (dorsal pons) in the floor of the fourth ventricle. It is formed by fibers from the motor nucleus of the facial nerve (cranial nerve VII) as they loop over the abducent nucleus. Thus a lesion to the facial colliculus would result in ipsilateral facial paralysis and ipsilateral unopposed eye medial deviation.